The rest seat for a lingual rest is
1. Triangular shaped
2. Round shaped
3. V-Shaped
4. Oval Shaped

Correct answer: 3. V-Shaped